Which is not included in NVBDCP
1. Dengue
2. Malaria
3. Japanese encephalis
4. Plague

Correct answer: 4. Plague

Explanation: o NVBDCP includes 6 vector home diseases of public health importance in India :
i) Malaria
ii) Dengue
iii) Filaria
iv) Kala-azar
v) Japenese encephalis
vi) Chikungunyafever